what is The vertical extension of right kidney ?
1. T10 - L2
2. T12 - L3
3. T11 - L4
4. T12 - L2

Correct answer: 2. T12 - L3

Explanation: The kidneys occupy the epigastric, hypochondriac, lumbar and umbilical regions . Vertically they extend from the upper border of twelfth thoracic vertebra to the centre of the body of third lumbar vertebra. Ref : B D Chaurasia's Human Anatomy , seventh edition , volume 2 , pg. no., 341.